An infant is brought to casualty with reports of violent shaking by parents. Most characteristic injury is: ARTI 11
1. Long bone fracture
2. Ruptured spleen
3. Subdural hematoma
4. Skull bone fracture

Correct answer: 3. Subdural hematoma

Explanation: Ans. Subdural hematoma